False statement regarding Cerebral Palsy is
1. Birth trauma is the most common cause of cerebral palsy
2. Cerebral palsy occurs due to one time insult to developing fetal brain
3. Periventricular leucomalacia causes spastic diplegia
4. Persistent cortical thumb after 3 months of age is seen in spastic cerebral palsy

Correct answer: 1. Birth trauma is the most common cause of cerebral palsy

Explanation: Perinatal hypoxia (Hypoxia Ischaemic Encephalopathy - HIE) is the most common cause of Cerebral Palsy.